In breech, engagement takes places earliest in :
1. Frank
2. Complete
3. Knee
4. Footing

Correct answer: 1. Frank

Explanation: Frank